You are called to the emergency room to see a 40-year-old woman with long standing history of chronic depression. She tells you: My belly and chest are empty. All my organs are gone. I don't exist. I'm dead. This patient is presenting with:-
1. Paranoid delusions
2. Delusions of persecution
3. Nihilistic delusions
4. Delusions of reference

Correct answer: 3. Nihilistic delusions

Explanation: Nihilistic delusions: Nihilistic is the root of the word 'annihilate' and means destruction or death. People experiencing Nihilistic delusions believe things like they are decomposing, their bodies don't work, their internal organs are rotten or solidifying or even that they are actually dead.